Main focus of UNICEF is on;
1. Child health
2. Nutritional health
3. Mental health
4. Social health

Correct answer: 1. Child health

Explanation: UNICEF - United Nations International Children's Emergency Fund It was established in 1946 by the United Nations General Assembly to deal with rehabilitation of children in war ravaged countries. Headquarters- New York GOBI- FFF campaign G- Growth monitoring F- Family planning O- ORS F- Family education B- Breast feeding F- Food supplementation I-immunization